Urine formation in intra uterine life starts at
1. 3 months
2. 4 months
3. 5 months
4. 6 months

Correct answer: 1. 3 months

Explanation: 3 months